Localized diffuse gingivitis extends from
1. the interdental papillae to attached gingiva in a limited area
2. the margin to attached gingiva in a limited area
3. the interdental papillae to mucobuccal fold in a limited area
4. the margin to the mucobuccal fold in a limited area

Correct answer: 4. the margin to the mucobuccal fold in a limited area